Why is it difficult to feel the popliteal artery pulsations?
1. It is not superficial
2. It does not cross prominent bone
3. It is not superficial and does not cross prominent bone
4. Its pulsations are weak

Correct answer: 3. It is not superficial and does not cross prominent bone

Explanation: Popliteal artery is the deepest structure in the popliteal fossa. It is difficult to feel its pulsations as it is not superficial and does not cross a prominent bone. Ref: Textbook of Surgery By Gupta, 2nd Edition, Page 297; Anatomy at a Glance By Omar Faiz, Simon Blackburn, David Moffat, Page 109